Which of the following is true regarding IUGR ?
1. Asymmetrical IUGR: is far more common than symmetrical IUGR
2. Ponderal index is normal in symmetrical IUGR
3. Prognosis is better in asymmetrical IUGR than symmetrical IUGR
4. All of the above

Correct answer: 4. All of the above

Explanation: All of the above